Pulsus paradoxus is present in all except
1. Emphysema
2. Pulmonary embolism
3. Hypovolemic shock
4. Hypertrophy cardiomyopathy

Correct answer: 4. Hypertrophy cardiomyopathy

Explanation: Ref Harrison 19 th ed pg 1553 Pulsus paradoxus is a sign that is indicative of several conditions, including cardiac tamponade, chronic sleep apnea, croup, and obstructive lung disease (e.g. asthma, COPD)